Crepitus will be seen in the tissues surrounding an
infection by:
1. Staphylococcus
2. Streptococcus
3. Clostridium tetani
4. C. perfringens

Correct answer: 4. C. perfringens

Explanation: CLOSTRIDIAL SKIN AND SOFT-TISSUE INFECTIONS
Histotoxic clostridial species such as C. perfringens, C. histolyticum, C. septicum, C. novyi, and C. sordellii cause aggressive necrotizing infections of the skin and soft tissues. These infections are attributable in part to the elaboration of bacterial proteases, phospholipases, and cytotoxins. Necrotizing clostridial soft-tissue infections are rapidly progressive and are characterized by marked tissue destruction, gas in the tissues, and shock; they frequently end in death. Severe pain, crepitus, brawny induration with rapid progression to skin sloughing, violaceous bullae, and marked tachycardia are characteristics found in the majority of patients.